Which of the following is the most potent antigen presenting cell
1. Fibroblasts
2. Dendritic cells
3. Macrophages
4. B Cells

Correct answer: 2. Dendritic cells

Explanation: Dendritic cells are most potent and most effective antigen presenting cells.